Gamma amino butyrate is synthesized from? -
1. Fumarate
2. Glutamate
3. Histidine
4. Glycine

Correct answer: 2. Glutamate

Explanation: Ans. is 'b' i.e., Glutamate \Ref: Harper 29th/ e p. 304-305]o Gamma amino butyric acid (GABA) is formed by decarboxylation of L-glutamate.Amino acidsBiological important compoundTyrosineCatecholamines (epinephrineQ, norepinephrineQ, dopamineQ), thyroxineQ, triiodothryonine, melanin Q.(Note: - Phenylalanine is the precursor of tyrosine, thus it can also give rise to all these compounds through tyrosine (phenylalanine - TyrosineQ - CatecholaminesQ, thyroxineQ, T3, melaninQ).TryptophanVitamin niacinQ, melatoninQ, SerotoninQGlycineQ,ArginineQ,methionineQCreatineQGlycine, cysteineBile saltsGlycineHeme.Aspartic acid andglutaminePyrimidine basesGlycineQ, aspartic acid, glutaminePurine basesQb-alanineCoenzyme-AArginineNitric oxideQGlutamateGama-amino butyric acid (GABA)